Endoscopic stapling procedure would be ideal in
1. Pharyngeal pouch
2. Gastric ulcer
3. Esophageal varices
4. Perforation

Correct answer: 1. Pharyngeal pouch

Explanation: Stappling of diverticula is done as a treatment procedure for pharyngeal pouch(Zenker's diverticulum). Other method is Dohlman's procedure. In this Pouch is excised using double lipped endoscopy. Cautery or laser is used. It is quicker procedure with short duration of anaesthesia, with fast recovery. Other treatment option is Diverticulectomy with cricopharyngeal myotomy. Reference: SRB's Manual of Surgery, 6th Edition, page no= 422.